Commonest dangerous complication of posterior dislocation of knee is -
1. Popliteal artery injury
2. Sciatic nerve injury
3. Ischaemia of lower leg compartment
4. Femoral artery injury

Correct answer: 1. Popliteal artery injury

Explanation: Dislocation of the knee

This rare injury results from severe violence to the knee so that all of its supporting ligaments are torn.
It is a major damage to the joint, and is often associated with injury to the popliteal artery.
Treatment is by reduction followed by immobilization in a cylinder cast.